Which of the following nasal spray is very effective in control of enuresis –
1. Pitressin
2. Desmopressin
3. Lipressin
4. None of the above

Correct answer: 2. Desmopressin